Disease excluded and re-included from International Health Regulations till date is
1. Smallpox
2. Guinea worm
3. Typhoid
4. HIV/AIDS

Correct answer: 1. Smallpox

Explanation: The ‘International Health Regulations’ (IHR, 2005) are an international law which helps countries working together to save lives and livelihoods caused by the international spread of diseases and other health risks
The IHR (1969) were primarily intended to monitor and control six serious infectious diseases: cholera, plague, yellow fever, smallpox, relapsing fever and typhus
Under the IHR (1969), ‘only cholera, plague and yellow fever remain notifiable’, meaning that States are required to notify WHO if and when these diseases occur on their territory